Wolf Chaikoff effect is due to excess
1. Iodide
2. Radio iodine
3. Propylthiouraci
4. Thyroxine

Correct answer: 1. Iodide

Explanation: Ans. (a) IodidesRef: Schwartz 9th Edition Page2599/E book* Excessively large doses of iodide may lead to initial increased organification, followed by suppression, a phenomenon called the Wolff-Chaikoff effect